Type of collagen found in bone is
1. Type 1
2. Type 2
3. Type 3
4. Type 4

Correct answer: 1. Type 1

Explanation: Composition of bone Inorganic (Mineral) - 65% of dry weight Organic (Matrix) - 35% of dry weight Chemically it is calcium hydroxyapatite (Ca10(PO4)6(OH) 2.Collagen - Type 1 (90%)Noncollagenous protein - Osteonectin, osteocalcin, osteopontin & bone sialoprotein (Refer: Rockwood and Green's, 6th edition, pg no. 298)